Which of the following statement about campylobacter is FALSE?
1. Humans are the only reservoirs
2. Source of infection is poultry
3. Campylobacteriosis is due to C-jejuni
4. C-Jejuni sequelae is GBS

Correct answer: 1. Humans are the only reservoirs

Explanation: Animals are the primary reservoir of Campylobacter and the bacteria are transmitted to humans by ingestion of contaminated food or by direct contact with pets. The most common source of human infection is undercooked poultry, but outbreaks have been caused by contaminated rural water supplies and unpasteurized milk. Campylobacter jejuni infection is associated with Guillain Barre syndrome an acute demyelinating polyneuropathy that is preceded by the infection. It is thought to be due to an antibody elicited by lipooligosaccharides in the C jejuni cell envelope that cross-react with similar molecules in the host peripheral nerve myelin. Ref: Ray C.G., Ryan K.J. (2010). Chapter 32. Vibrio, Campylobacter, andHelicobacter. In C.G. Ray, K.J. Ryan (Eds), Sherris Medical Microbiology, 5e.